Not used topically is:
1. Lignocaine
2. Bupivicaine
3. Dibucaine
4. Tetracaine

Correct answer: 2. Bupivicaine

Explanation: Bupivicaine